Hemophilia is due to deficiency of factor:
1. I
2. V
3. VIII
4. XIII

Correct answer: 3. VIII